Subtype of leprosy with maximum number of TH -1 cells -
1. TT
2. BB
3. LL
4. Borderline leprosy

Correct answer: 1. TT

Explanation: Ans. is 'a' i.e., TT TT --4. Max. no. of CD4 - T cells (TH -1) 11, --II. Max. no. of CD8 - T cells